Danazol is not used in :
1. Precocious puberty
2. Endometrial Ca
3. Endometriosis
4. DUB

Correct answer: 2. Endometrial Ca

Explanation: Endometrial Ca